Antidepressant drug used in nocturnal eneuresis is:
1. Imipramine
2. Fluoxetine
3. Trazdone
4. Sertaline

Correct answer: 1. Imipramine

Explanation: A i.e. ImipramineAdverse effects ofTCAsl. Anticholinergic - Dry mouth, bad taste, urinary retention, blurred vision, palpitation, constiPation.2. Sedation, mental confusion, weakness.3. Increased appetite and veigfit gain.4. Sweating andfinc tremer.5. Decreased seizure threshold (clomipramine, maprotiline & bupropion).6. Postural hypotension > Marimum by amitripSline - Goodman & Gillman 11/e p. 4j3.7. Cardiac arrythmia; Maximum by amitriptyline and dosulpin.